Hemoglobinuria may be seen in all of the following conditions Except:
1. Mismatched Blood transfusion
2. Paroxysmal cold hemoglobinuria
3. Thermal burns
4. Hereditary spherocytosis

Correct answer: 4. Hereditary spherocytosis

Explanation: Answer is D (Hereditary Spherocytosis) Hemoglobinuria is a feature of intravascular hemolysis. Amongst the options provided hereditary spherocytosis is a cause ' rextravascular wolysis and is therefore not associated with hemoglobinuriu.